Cardiac index ratio is determined by
1. CO & surface area
2. Stroke Volume & surface area
3. Surface area only
4. Peripheral resistance

Correct answer: 1. CO & surface area